Which of the following deficiencies are associated with the disorders of hyperplasia of salivary gland and keratinisation of the salivary gland
1. Vit -A
2. Vit -B
3. Vit -C
4. Vit - K

Correct answer: 1. Vit -A